In a healthy individual on a normal diet, which of the following ion is completely absorbed in tubules, except?
1. Na2+
2. K+
3. Cl-
4. Urea

Correct answer: 4. Urea

Explanation: UreaOn a normal diet maximum solutes are reabsorbed almost completd: -Glucose : 100%Aminoacids 100%HCO; : 100%Water: 99.4%Na- :99.4%CL :99.2%Uric acid: 98%K. :93.3%Urea: 53%.Total solutes:98.9%RENAL UREA TRANSPORT:Urea is secreted into thin descending limb of Henle loop.In Proximal tubule - 40-50% filtered urea reabsorbed.